Macewan's sign is seen in:
1. Cyanide poisoning
2. Alcoholism
3. Lead
4. Arsenic poison

Correct answer: 2. Alcoholism

Explanation: Alcoholism